PANDAS are associated with which of the following infection?
1. Pseudomonas
2. Streptococcus
3. Staphylococcus
4. Neisseria

Correct answer: 2. Streptococcus

Explanation: PANDAS is short for Pediatric Autoimmune Neuropsychiatric Disorders Associated with Streptococcal Infections. A child may be diagnosed with PANDAS when: Obsessive-compulsive disorder (OCD), tic disorder, or both suddenly appear following a streptococcal (strep) infection, such as strep throat or scarlet fever. Reference: GHAI Essential pediatrics, 8th edition